Demilunes of Giannuzzi are:
1. Mucous cells
2. Serous cells.
3. Mixed cells.
4. None of the above.

Correct answer: 2. Serous cells.